Which of the enzyme of glycolysis is used in gluconeogenesis?
1. Glucokinase
2. PFK
3. Pyruvate kinase
4. Phosphohexose isomerase

Correct answer: 4. Phosphohexose isomerase

Explanation: Step 2 of Glycolysis Glucose-6-phosphate is isomerised to fructose-6phosphate by phosphohexose isomerase. This is readily reversible. Since reversal of this reaction occurs in gluconeogenesisRef: DM Vasudevan, 7th edition, page no: 109